Which of the following is autosomal dominant disorder?
1. Tuberous sclerosis
2. Von Hipple - Lindau disease
3. Neuro fibromatosis
4. All of the above

Correct answer: 4. All of the above

Explanation: All of 3 options are neurocutaneous syndromes and are autosomal dominant disorder.